Ejection of milk is caused by
1. Oxytocin
2. ADH
3. Progesterone
4. Thyroxine

Correct answer: 1. Oxytocin

Explanation: Oxytocin plays roles in sexual reproduction, in particular during and after childbirth. It is released in large amounts after distension of the cervix and uterus during labor, facilitating birth, maternal bonding, and, after stimulation of the nipples, breastfeeding. Both childbirth and milk ejection result from positive feedback mechanisms.ADH (antidiuretic hormone) a hormone secreted by neurosecretory cells of the HYPOTHALAMUS and released by the posterior lobe of the PITUITARY GLAND. ADH stimulates the reabsorption of water through the distal convoluted tubule of the KIDNEY nephron in mammals and thus limits the water content and the overall volume of urine.Progesterone also known as P4 is a C-21steroid hormone involved in the female menstrual cycle, pregnancy and embryogenesis of humans and other species. Progesterone belongs to a class of hormones called progestogens and is the major naturally occurring human progestogen.thyroxine a thyroid hormone that contains iodine and is a derivative of the amino acid tyrosine, occurring naturally as l-thyroxine; its chemical name is tetraiodothyronine. It is formed and stored in the thyroid follicles as thyroglobulin and released from the gland by the action of a proteolytic enzyme. It is deiodinated in peripheral tissues to form triiodothyronine (T3), which has a greater biological activity.Ref: Ganong's review of medical physiology;24th edition; page no-151